Tinea pedis is caused by which of the following
1. E. Floccosum
2. M. Furfur
3. M. Canis
4. Cladosporium werneckii

Correct answer: 1. E. Floccosum

Explanation: Tinea pedis caused by Trichophyton rubrum and epidermophyton floccosum. Malassezia furfur causes tinea versicolar. Microsporum canis infects dogs and cats. Cladosporium wernickii causes Tinea nigra. Reference: Textbook of Microbiology; Baveja; 4th edition